A woman assaulted by neighbor was brought to you in the emergency department with fracture of middle tooth. Injury was extended medially to the mouth and there was also contusion to bilateral leg. What is the nature of the injury
1. Grievous injury
2. Simple injury
3. Dangerous injury
4. Assault

Correct answer: 1. Grievous injury

Explanation: Ans. a. Grievous injury Fracture or dislocation of a bone or a tooth constitute Grevious injury. Grevious Injury (Sec 320 IPC) Emasculation Permanent privation of either eyedeg Permanent privation of either ear Privation of any member (part, organ or limb) or joint Permanent disfiguration of head or facedeg Fracture or dislocation of a bone or a toothdeg Destruction or permanent impairing of powers of any member or joint Any hurt which endangers life, or which causes the sufferer to be, during the space of 20 days, in severe body pain, or unable to follow his daily routinedeg.